In selecting a screening test for a disease which of the following should not be considered?
1. Cost of the test
2. Efficacy of the treatment
3. Knowledge of the physician about the disease
4. Sufferings from disease to the people

Correct answer: 3. Knowledge of the physician about the disease